Hyperdynamic circulation is seen in all except:
1. Anemia
2. Beriberi
3. Cor pulmonale
4. AV fistula

Correct answer: 3. Cor pulmonale

Explanation: Ans. c. Cor Pulmonale (Ref: Harrison 19/e p1501, Harrison 18/e p1901)Hyperdynamic circulation is seen in anemia, beriberi & AV fistula, but not in Cor pulmonale."Conditions that lead to a high cardiac output (e.g.. arteriovenous fistula, anemia) are seldom responsible for the development of HF in a normal heart: however, in the presence of underlying structural heart disease, these conditions can lead to overt HF. "--Harrison 19/e p1501Etiologies of Heart FailureDepressed Ejection Fraction (< 40%)Preserved Ejection Fraction (> 40-50%)High-Output States* Coronary artery disease:- Myocardial infarction- Myocardial ischemia* Chronic pressure overload:- Hypertension- Obstructive valvular disease* Chronic volume overload:- Regurgitant valvular disease- Intracardiac (left-to-right) shunting- Extracardiac shuntingQ* Chronic lung disease:- Cor pulmonaleQ- Pulmonary vascular disorders* Non-ischemic dilated cardiomyopathy:- Familial/genetic disorders- Infiltrative disorders* Toxic/drug-induced damage:- Metabolic disorder- Viral* Chagas' disease* Disorders of rate & rhythm:- Chronic bradyarrhythmias- Chronic tachyarrhythmias* Pathologic hypertrophy:- Primary (hypertrophic cardiomyopathies)- Secondary (hypertension)* Aging* Restrictive cardiomyopathy:- Infiltrative disorders (amyloidosis, sarcoidosis)- Storage diseases (hemo-chromatosis)* Fibrosis* Endomyocardial disorders* Metabolic disorders:- ThyrotoxicosisQ* Nutritional disorders (beriberi)0* Excessive blood flow requirements:- Systemic AV shunting0- Chronic anemia0